Nicoladoni branham sign is -
1. Compression cause bradycardia
2. Compression cause tachycardia
3. Hypotension
4. Systolic filling

Correct answer: 1. Compression cause bradycardia